Scalp and face are involved in ?
1. Adult scabies
2. Nodular scabies
3. Infantile scabies
4. None

Correct answer: 3. Infantile scabies

Explanation: Ans. is 'c' i.e., Infantile scabies Type Feature o Infantile scabies Scalp, face, palms and soles are involved o Norwegian scabies Crusted hyperkeratotic lesions on face , palms, soles, nails. Itching is not prominent. Mites are found in thousand, most severe form of scabies Crusted scabies Extensive crusts Nodular scabies Extensive crusts Genital scabies Extensive crusts Animal scabies History of contact with cat or dog. Atypical presentation